Macrophage activation syndrome IS seen in association with?
1. Systemic sclerosis
2. Sweet's syndrome
3. Polyarteritis nodosa
4. SLE

Correct answer: 4. SLE

Explanation: Macrophage activation syndrome (MAS) is a life-threatening complication of rheumatic disease that, for unknown reasons, occurs much more frequently in individuals with systemic juvenile idiopathic arthritis (SJIA) and in those with adult-onset Still disease. Macrophage activation syndrome is characterized by pancytopenia, liver insufficiency, coagulopathy, and neurologic symptoms and is thought to be caused by the activation and uncontrolled proliferation of T lymphocytes and well-differentiated macrophages, leading to widespread hemophagocytosis and cytokine overproduction . Ref - reseaechgate.net